Vogt Koyanagi–Harada (VKH) syndrome is –
1. Chronic granulomatous uveitis
2. Chronic non-granulomatous uveitis
3. Acute purulent uveitis
4. None

Correct answer: 1. Chronic granulomatous uveitis

Explanation: VKH syndrome is a multisystem disorder characterized by chronic granulomatous uveitis with exudative retinal detachment that is often associated with neurological and cutaneous manifestations.